The cranial nerve passing through cavernous sinus is
1. Optic
2. Olfactory
3. Abducens
4. Facial

Correct answer: 3. Abducens

Explanation: The cavernous sinuses: drain the venous blood from brain & is placed lateral to the pituitary gland. Contents: Internal carotid artery Abducens nerve (VI) Oculomotor nerve Trochlear nerve Ophthalmic and maxillary division of trigeminal nerve. Mandibular division of trigeminal nerve is not a content of cavernous sinuses.